Each quadrant of the adult mouth holds ___ incisors, ___ canines, ___ premolars, and ___ molars.
1. 1, 2, 3, 2
2. 1, 2, 2, 3
3. 2, 1, 3, 2
4. 2, 1, 2, 3

Correct answer: 4. 2, 1, 2, 3

Explanation: D: There are 32 teeth in the normal adult mouth, located in the mandible and maxillae.
The teeth can be divided into quadrants: right upper, left upper, right lower, and left lower. In adults, each quadrant contains one central and one lateral incisor; one canine; first and second premolars; and first, second, and third molars.